Most common cause of primary post-partum hemorrhage is:
1. Uterine atony
2. Uterine inertia
3. Uterine inversion
4. Retained placenta

Correct answer: 1. Uterine atony

Explanation: Ans. a. Uterine atonyPrimary Postpartum Hemorrhage:Atonic uterus: Uterine atony is most common(80% cases)Grand multiparaOverdistension of the uterus as in multiple pregnancy, hydramnios & big babyUterine fibroidPlacenta: Morbidly adherent placenta(accrete, perceta)Antepartum haemorrhage(both placenta praevia & abruption)Prolong labour , Mismanaged 3rd stage labour